In body pethysmography, a person is asked to expire against a closed glottis. What will be the change in the pressure in the lung and the box
1. Increase in both
2. Decrease n both
3. Increase in lung decrease in box
4. Decrease in lung increase in box

Correct answer: 3. Increase in lung decrease in box